Which of the following statements are FALSE about acoustic neuroma?
1. Arises from the vestibular nerve
2. Accounts for 10% of intracranial tumour in adults
3. Dural tail present on MRI scan
4. Originate in the internal auditory canal

Correct answer: 3. Dural tail present on MRI scan

Explanation: Vestibular schwannomas or acoustic neuromas originate in the internal auditory canal from the inferior or superior portion of the vestibular nerve. Acoustic neuromas account for 8% to 10% of all intracranial tumours in adults. The lack of a dural tail on MRI differentiates acoustic neuromas from cerebellopontine angle meningiomas. Most tumours are unilateral. Genetic association is with a lack of tumour suppressor gene on Chromosome 22.